The thyroid inhibitor which produces the fastest response is
1. Lugol's iodine
2. Propylthiouracil
3. Radioactive iodine
4. Lithium carbonate

Correct answer: 1. Lugol's iodine

Explanation: IODINE AND IODIDES Though iodine is a constituent of thyroid hormones, it is the fastest acting thyroid inhibitor. Ref:- kd tripathi; pg num:-254